Brudevold's solution contains:
1. 2 % SnF2
2. 2 % NaF2
3. 1.23 percent sodium fluoride in 0.1 M orthophosphoric acid
4. 2 percent sodium fluoride in 0.1 M orthophosphoric acid

Correct answer: 4. 2 percent sodium fluoride in 0.1 M orthophosphoric acid